'Lock jaw' indicates
1. Ankylosis
2. Spasm of masseter muscle
3. Inflammatory trismus
4. Fracture of condyle

Correct answer: 2. Spasm of masseter muscle